Embryonic hemoglobin is –
1. Adult hemoglobin
2. Fetal hemoglobin
3. Gower
4. None

Correct answer: 3. Gower